Chief Judicial Magistrate can sentence a guilty for imprisonment up to
1. 3 years
2. 5 years
3. 7 years
4. Life imprisonment

Correct answer: 3. 7 years

Explanation: CrPC s. 29: Sentences which magistrates may pass (judicial magistrate) Sessions court Any sentence authorized by law (death sentence must be confirmed by the court) Any amount of fine Assistant sessions court 10 years imprisonment Any amount of fine Chief judicial magistrate/Chief metropolitan magistrate 7 years imprisonment Any amount of fine First class judicial magistrate/Metropolitan magistrate 3 years imprisonment Ten thousand rupees Second class judicial magistrate 1 year imprisonment Five thousand rupees Ref: Krishnan vij Textbook of Forensic Medicine and Toxicology; 5th ed; Page no: 5